Prolonged salmonella septicemia is caused by ?
1. S. enteritidis
2. S. cholerae-suis
3. S. typhimurium
4. S. typhi

Correct answer: 2. S. cholerae-suis

Explanation: Ans. is 'b' i.e., S. Cholerae Buis S. choleraesuis can cause septicemic disease with focal suppurative lesions, such as osteomyelitis, deep abscesses, endocarditis, pneumonia and meningitis.